All are true regarding cryptococcal infection except -
1. Occurs in immune-deficient states
2. Capsular Ag in CSF is a rapid method of detection
3. Anticapsular Abs is protective
4. Urease test +ve

Correct answer: 3. Anticapsular Abs is protective

Explanation: 1. Capsular antigen detection from CSF or serum by latex agglutination test is a rapid and sensitive (95%). 2. Cryptococcus gives Urease test positive. 3. Anticapsular Abs is not protective 4. Predisposing factors: Patients with advanced HIV infection with CD4 T-cell counts < 200/ml is the most important risk factor for C.neoformans. However, C.gattii is not associated with HIV. It usually causes infection in immunocompetent individuals. Patients with hematologic malignancies. Transplant recipients Patients on immunosuppressive or steroid therapy.